Regulation of smooth muscle tone is persistently influenced by:
1. Calcium release from sarcoplasmic reticulum
2. Beta 1 receptor
3. Latch bridge mechanism
4. Troponin

Correct answer: 3. Latch bridge mechanism

Explanation: Latch bridge mechanism: - Once smooth muscle has developed full contraction, the amount of continuing excitation can usually be reduced to far less than the initial level even though the muscle maintains its full force of contraction. Further the energy consumed to maintain contraction is very less, This mechanism is k/a 'latch' mechanism. The importance of latch mechanism is that it can maintain prolonged toxic contraction in smooth muscle,with little use of energy.